An example of IMiD (Immunomodulatory derivatives of thalidomide) is:
1. Pavalizumab
2. Rbavirin
3. Lenalidomide
4. None of the above

Correct answer: 3. Lenalidomide

Explanation: Owing to thalidomide's serious toxicity profile, considerable effort has been expended in the development of analogs. Immunomodulatory derivatives of thalidomide are termed IMiDs. Some IMiDs are much more potent than thalidomide in regulating cytokines and affecting T-cell proliferation. Lenalidomide is an IMiD that in animal and in vitro studies has been shown to be similar to thalidomide in action, but with less toxicity, especially teratogenicity. Ref: Katzung 11th edition Chapter 61.